Theory of web of causation was given by
1. Mc Mohan and Pugh
2. Petfenkoffer
3. John snow
4. Louis Pasteur

Correct answer: 1. Mc Mohan and Pugh

Explanation: Theory of web of causation was proposed by MacMahon and Pugh in their book: "Epidemiological Principles and Methods". Web of causation considers all the predisposing factors of any type and their complex inter-relationship with each other. Ref : Park's Textbook of Preventive and Social Medicine; 23rd edition; Page 34